Myelofibrosis leading to a dry tap on the bone marrow aspiration is seen with which of the following condition -
1. Burkitt's lymphoma
2. Acute erythroleukemia
3. Acute megakaryocytic leukemia
4. Acute myelomonocytic leukemia

Correct answer: 3. Acute megakaryocytic leukemia

Explanation: . Acute megakaryocytic leukemia